Leukocyte migration through capillary wall is called?
1. Rolling
2. Diapedesis
3. Migration
4. Pavementing

Correct answer: 2. Diapedesis

Explanation: Ans. is 'b' i.e., Diapedesis o Process of transmigration of leukocytes across the endothelium is called Diapedesis. The most important molecule responsible for diapedesis is called PECAM-1 (Platelet endothelial cell adhesion molecule) or CD-31.About other optionso When leukocytes principally neutrophills accumulate along the vascular endothelium. This is called margination.o The rows of leukocytes move (tumble) slowly along the endothelium a process called rollingo When the endothelium can be virtually lined by white cells called Pavementing.